Standarised mortality rate is standardised for
1. Age
2. Disease
3. Region
4. A particular time period

Correct answer: 1. Age

Explanation: .rates are only comparable if the populations upon which they are based are comparable.age adjustment or"age standardisation removes the confounding effect of different age structures and yields a single standardized or adjusted rate by which the mortality experience can be compared directly.the adjustment can also be made for sex,race,parity etc. ref:park's textbook,ed 22,pg no 56